Following agent is implicated in the development of carcinoma of cervix:
1. Herpes simplex
2. Human papilloma virus
3. EB virus
4. Adenovirus

Correct answer: 2. Human papilloma virus

Explanation: Human papilloma virus (HPV) is central to the development of cervical neoplasia. HPV DNA is found in 99.7% of all cervical carcinomas. HPV-16 is the most prevalent HPV type in squamous cell carcinoma and adenocarcinoma, followed by HPV-18 and HPV-45. Other associated risk factors are tobacco use, immunosuppression, infection with HIV or a history of other STIs, high parity, and oral contraceptive use. Ref: Holschneider C.H. (2013). Chapter 48. Premalignant & Malignant Disorders of the Uterine Cervix. In A.H. DeCherney, L. Nathan, N. Laufer, A.S. Roman (Eds), CURRENT Diagnosis & Treatment: Obstetrics & Gynecology, 11e.